Vagitus uterinus is -
1. An infection of vagina
2. An infection of uterus
3. A cry of unborn baby from uterus
4. Infection of both vagina and uterus

Correct answer: 3. A cry of unborn baby from uterus

Explanation: Cry in uterus is called vagitus uterinus and cry in vagina is called vagitus vaginalis.